Which of the following drugs is not effective in case of Trigeminat Neuralgia?
1. Carbamazipine
2. acetaminophen
3. Phenytoin sodium
4. Baclofen

Correct answer: 2. acetaminophen